Which is true of malaria -
1. Rods forms are seen in P. malariae
2. RBC size is more in P. vivax
3. Relapse seen in P. falciparum
4. Male and female mosquito transmit disease

Correct answer: 2. RBC size is more in P. vivax

Explanation: RBCs shape and size malaria: P. vivex - Enlarged, Round and Bizarre form P. falciparum - Normal in size P. malariae - Normal in size P. ovale - Enlarged, Oval and Fimbriated margin Relapse: Seen in P. vivax and P. ovale Recrudescence: Seen in P. falciparum and P. malariae infections Definitive host: Female Anopheles mosquitoes (not male anopheles) Intermediate host: Man. Rod forms are seen in P. falciparm not in P. malaiae